Recommended concentration of iodine in iodised salt at consumer level is:
1. 20 ppm
2. 15 pp
3. 10 ppm
4. 5 ppm

Correct answer: 2. 15 pp

Explanation: Ref: Park 'Textbook of Preventive and Social Medicine'. 22nd edition, Pg: 597Explanation:* Salt iodisation is one of the important measure taken by National Iodine Deficiency Diseases Control Programme to control iodine deficiency- disorder.* As per the PFA act iodine concentration of 30 and 15 ppm in salt at source and consumer ends respectively.Prevention of Food Adulteration Act (PFA Act)Minimum Iodine concentration in Iodised salt at Production level: Not less than 30 ppm Minimum Iodine concentration in Iodized salt at Consumer level: Not less than 15 ppm